Base of heart is at the level of which vertebrae
1. C4-C7
2. C7-T2
3. T5-T8
4. T9-T12

Correct answer: 3. T5-T8

Explanation: Base of the heart is at the level of T5_T8 vertebrae B D CHAURASIA'S HUMAN ANATOMY UPPER LIMB THORAX-VOLUME-1,SIXTH EDITION,Page no-257